Which of the following is a ratio-
1. IMR
2. MMR
3. Prevalence
4. Incidence

Correct answer: 2. MMR

Explanation: park's textbook of preventive and social medicine 23rd edition. *rate comprises numerator ,denominator ,time specification and multiplier.the numerator is a component of denominator in calculating rate but not in the ratio.ratio expresses a relation in size between two random quantities . *IMR, prevalence and incidence are rates . *MMR- no of female death due to complication of pregnancy ,child birth or within 42 days of delivery from puerperal causes in an area during a given year/ total on of live birth in the same area and year multiplier by 1000.